Which female genital malignancy is most common in pregnancy?
1. Ovarina cancer
2. Vaginal vulvar cancer
3. Endometrial cancer
4. Cervical cancer

Correct answer: 4. Cervical cancer

Explanation: Combined together, genital tract cancers are the most common malignancies encountered during pregnancy.
Most common genital malignancy during pregnancy is cervical cancer. Proportion of malignancies during pregnancy is shown in Figure.

Williams Obs. 24/e